Uncontrolled diabetes possess a problem to prosthodontist as;
1. more bone resorption
2. increased salivary flow
3. less bone resorption
4. less tissue laxity

Correct answer: 1. more bone resorption